The cells that form secondary dentin are
1. Cementoblasts
2. Fibroblasts
3. Odontoblasts
4. Osteoblasts

Correct answer: 3. Odontoblasts